The adjuvant used in DPT vaccine is -
1. A1
2. Mg
3. Zn
4. Formaldehyde

Correct answer: 1. A1

Explanation: Adsorption of DPT vaccine on a mineral carrier like aluminium phosphate or hydroxide increases the immunological effectiveness of vaccine. Ref:PARK'S TEXTBOOK OF PREVENTIVE AND SOCIAL MEDICINE 23rd edition , Page :162